All cause diarrhea except;
1. Diabetes
2. Hypercalcemia
3. Hyperthyroidism
4. Irritable bowel syndrome

Correct answer: 2. Hypercalcemia

Explanation: Hypercalcemia increases the tone of sphincters of the gut leading to refractory constipation. Autonomic dysfunction in diabetes explains the diarrhea. Due to sympathetic activity increase in thyrotoxicosis there is a reduction in small bowel transit time explaining the diarrhea. IBS has variable presentation between diarrhea and constipation